True about 'Customs' is/are
1. Rigid rules and laws of society
2. No member can escape
3. Public take active part in its enforcement
4. All of the above

Correct answer: 4. All of the above

Explanation: (AH of the above)